Hydatiform mole -characterized histologically by:
1. Hyaline membrane degeneration
2. Hydropic degeneration of the villous stroma
3. Non-proliferation of cytotrophoblasts
4. Non proliferation of syncytiotrophoblasts

Correct answer: 2. Hydropic degeneration of the villous stroma

Explanation: (Hydropic degeneration of the villous stroma) (193, 197, 201-Duta 6th)Hvdatidiform mole (vesicular mole) - It is abnormal condition of placenta where there are partly degenerative & partly proliferative changes in the young chorionic villi* It is best regarded as a benign neoplasm of the chorion with malignant potential* Vaginal bleeding is the commonest presentation (90%) "White currant in red currant juice"* Expulsion of grape like vesicles (rich in HCG) pe vaginum is diagnostic of vesicular mole.* Histology shows hydropic degeneration of the villous stroma with absence of blood vessels and trophoblastic proliferation.RISK FACTORS FOR MALIGNANT CHANGE* Patient above the age of 40 irrespective of parity* Patients having previous 3 or more births irrespective of age is more important than the parity.* Initial serum hCG > 100,000 mIU/ml.* Uterine size >20 weeks* Previous history of molar pregnancy* Large (> 6 cm) theca-leutin cyst